Leathery stomach is seen in poisoning with:
1. HCl
2. H2SO4
3. Carbolic acid
4. Oxalic acid

Correct answer: 3. Carbolic acid

Explanation: Ans. Carbolic acid